An adult male sustained accidental burns and died 1 hour later. Which of the following enzymes will be increased in the burn area?
1. ATPase
2. Aminopeptidase
3. Acid phosphatase
4. Alkaline phosphatase

Correct answer: 1. ATPase

Explanation: Answer: a) ATPase (KS NARAYAN REDDY 33rd ED P-327)In antemortem burns, skin adjacent to the burnt area will show increase in the following enzymes after certain time intervalEnzymeAge of wounds (hour)ATPases1Esterases1Aminopeptidases2Acid phosphatase4Alkaline phosphatase8